Leopold maneuver is used for:
1. Delivery of head
2. Mid Cavity forceps application
3. External podalic version
4. Examination of abdomen

Correct answer: 4. Examination of abdomen

Explanation: Leopold's Maneuvers are a common and systematic way to determine the position of a fetus inside the woman's uterus; they are named after the gynecologist Christian Gerhard Leopold. The maneuvers consist of four distinct actions, each helping to determine the position of the fetus. The maneuvers are important because they help determine the position and presentation of the fetus. Also Know: Fundal grip- First Leopold Lateral grip -Second Leopold Pawlik's grip - Third Leopold Pelvic grip - Fourth Leopold Ref: Textbook of Obstetrics D.C.Dutta 6th Ed Page 79.